Lowest incidence of trachoma is in
1. Punjab
2. Orissa
3. Rajasthan
4. Uttar Pradesh

Correct answer: 2. Orissa

Explanation: • Prevalence rate of active trachoma infection in India 0-14 years (1986-89): –
Punjab: 21.8%
Haryana: 15%
Rajasthan: 17.1%
UP: 11.7%
Orissa: 10.2%